Pulp core contains
1. Undifferentiated cells
2. Nerve bundles
3. Large vessels
4. All of the above

Correct answer: 4. All of the above